Half life of insulin is -
1. 5min
2. 1hr
3. 12hr
4. 24hr

Correct answer: 1. 5min

Explanation: Ans. is 'a' i.e., 5 min o The half-life of insulin in the circulation in humans is about 5 min. Insulin binds to insulin receptors, and some is internalized. It is destroyed by proteases in the endosomes formed by the endocytotic process.